The drug of choice for schistosomiasis is
1. Albendazole
2. Metronidazole
3. Praziquental
4. Triclabendazole

Correct answer: 3. Praziquental

Explanation: Refer KDT6/e p435-436 Praziquental is the drug of choice for all trematode and cestode infestations except Fasciola hepatica bad hydatid disease